Measurement of dispersion is:
1. Mean
2. Mode
3. Median
4. Range

Correct answer: 4. Range

Explanation: Measures of dispersion include: Range Variance Standard deviation Ref: Medical biostatistics, 1st edition pg: 122